Good prognosis in Wilm's tumour is seen in -
1. 2-5 years
2. Less than 1 year
3. Male child
4. Female child

Correct answer: 2. Less than 1 year